Criteria for assessing prognosis of systemic portal shunt is by A/E-
1. Serum albumin
2. Resistant ascites
3. Serum bilirubin
4. Type of shunt

Correct answer: 4. Type of shunt

Explanation: Ans. is 'd' i.e. Type of shunt